Rate of eruption is fastest for:
1. Anteriors
2. Premolars.
3. Molars.
4. All of the above.

Correct answer: 2. Premolars.

Explanation: Anteriors – 1mm / month
Premolars – 4.5mm / 3 month
Molar – 1mm / 3month